Which is true about enzyme kinetics for competitive inhibition?
1. Low Km high affinity
2. High Km high affinity
3. High Km low affinity
4. Low Km low affinity

Correct answer: 3. High Km low affinity

Explanation: Ans. C. High Km and low affinityFeatures of competitive inhibition:Km increases, hence the affinity is loweredVmax remains the sameFeatures of noncompetitive inhibition:Km remains the sameVmax decreases